Hypochondriasis is
1. Normal pre occupation with abnormal body functionL
2. Abnormal pre occupation with abnormal body function
3. Normal pre occupation with normal body function
4. Abnormal preoccupation with normal body function

Correct answer: 4. Abnormal preoccupation with normal body function

Explanation: D i.e. Abnormal preoccupation with normal body functionHypochondriasis is persistent preoccupation with fear or belief of having serious disease based on person's own interpretation of normal body function ie Hypochondriasis is abnormal preoccupation about normal body functionQ.